Which of the following is false about kidney injury Molecule ( KIM - 1)
1. Novel Biomarker of AKI
2. Abundantly expressed in distal tubular cells
3. Can be detected  shortly after ischemic injury in the urine
4. All the above

Correct answer: 2. Abundantly expressed in distal tubular cells

Explanation: Expressed in Proximal tubular cells.